Function of hepatic stellate cells are
1. Vitamin A storage
2. Formation of sinusoids
3. Increase blood perfusion
4. Phagocytosis

Correct answer: 1. Vitamin A storage

Explanation: The hepatic cells are of mesenchymal origin , found in space of Dessie. The stellate cells play a role in the storage and metabolism of vitamin A and are transform into collagen producing myofibroblast when there is inflammation and Fibrosis of liver. Refer 9/e p436